Which one of the following stains is specific for Amyloid ?
1. Periodic Acid schif (PAS)
2. Alzerian red
3. Congo red
4. Von - Kossa

Correct answer: 3. Congo red

Explanation: Ans. is 'c' i.e., Congo Red"To differentiate amyloid from other hyaline deposits (eg. Collagen and fibrin), a variety of histochemical techniques are used, of which the most widely used is Congo Red"